Serum creative kinase-3 (CK-3) is elevated in
1. Muscular dystrophy
2. Myocardial infarction
3. Alcoholic cirrhosis
4. Brain tumours

Correct answer: 1. Muscular dystrophy

Explanation: . *Creatine kinase is markedly elevated in the dystrophinopathies( Duchene and Becker ) but is normal or moderately elevated in other dystrophies. The diagnosis of muscular dystrophy is based on the results of muscle biopsy, increased creatine phosphokinase (CpK3), electromyography, and genetic testing. A physical examination and the patient's medical history will help the doctor determine the type of muscular dystrophy. Specific muscle groups are affected by different types of muscular dystrophy. Other tests that can be done are chest X-ray, echocardiogram, CT scan, and magnetic resonance image scan, which a magnetic field can produce images whose detail helps diagnose muscular dystrophy Ref Harrison20th edition pg 1234